Length of intraorbital part of the optic nerve is
1. 10-12 mm
2. 20-24 mm
3. 25-30 mm
4. 35-40 mm

Correct answer: 3. 25-30 mm

Explanation: Length of optic nerve - 5 cm Intraocular portion - 20 mm Intraorbital portion - 30 mm